Unconscious proprioception is carried by?
1. Dorsal column
2. Spinocerebellar pathways
3. Anterior spinothalamic tract
4. Rubro- spinal pathway

Correct answer: 2. Spinocerebellar pathways

Explanation: Ans. B. Spinocerebellar pathways* Unconscious proprioception is the sensation of limb and joint position and range and direction of limb mediated by (spinocerebellar pathways and serves as a back up to) the dorsal column medial lemniscal system.* Unconscious proprioception involves acquisition and maintenance of skilled motor activities such as walking speaking writing, swallowing, unconscious proprioception.